The following activity increases in DNA in a permissive chromatin:
1. Methylation of CpG islands
2. Phosphorylation
3. Acetylation of histones
4. Sumoylation

Correct answer: 3. Acetylation of histones

Explanation: Ans. C. Acetylation of histonesEffects of epigenetic modificationMethylation of CpG islands-Repressive chromatinPhosphorylaion of histones-Chromatin condensation (Repressive chromatin) or opening of chromatin (Permissive chromatin)Acetylation of histones-Permissive chromatinSumoylation-Repressive chromatin